A homosexual person feels that he is imposed by a female body & persistent discomfort with his sex, diagnosis is
1. Gender identity disorder
2. Transvestism
3. Voyerism
4. Paraphillias

Correct answer: 1. Gender identity disorder

Explanation: A i.e. Gender identity disorder